Accessory obturator artery is a branch of
1. Femoral artey
2. Obturator artey
3. Profunda femoris
4. Inferior epigastric artery

Correct answer: 4. Inferior epigastric artery

Explanation: Accessory obturator artery is the pubic branch of the inferior epigastric artery. It contributes a significant supply through the obturator canal. Ref - semantischolar.org